A 2 year old child presents with scattered lesions in the skull. biopsy revealed Langerhans giant cells. The most commonly associated is marker with this condition will be :
1. CD1a
2. CD57
3. CD3
4. CD68

Correct answer: 1. CD1a

Explanation: The presence of Birbeck granules in the cytoplasm of tumor cells is characteristic of langerhans cell histiocytosis.
As Birbeck granules are not seen in all tumor cells by electron microscopy, the detection of S - 100 and CD la expression by immunohistochemical technique aids in the diagnosis.